A double bar anterio posterior palatal major connector is indicated when
1. A single palatal bar is not rigid
2. Maximum palatal support is needed
3. High vault palate is present
4. All of the above

Correct answer: 1. A single palatal bar is not rigid